Deep part of submandibular salivary gland is in relation to:
1. Facial Nerve
2. Lingual Nerve
3. Accessory Nerve
4. Mandibular Nerve

Correct answer: 2. Lingual Nerve